All are true about hepatoblastoma except:-
1. Associated with FAP .
2. Most cases <18 months .
3. Prognosis is very poor with pulmonary metastases .
4. Treatment is chemotherapy followed by surgical resection

Correct answer: 3. Prognosis is very poor with pulmonary metastases .

Explanation: Hepatoblastoma M/C 1deg Malignancy of Liver in children Associated with - FAP - Familial Adenomatous Polyposis - BWS - Beckwith Wiedemann Syndrome Most patient are <18 months and all patient are <3yrs of Age. IOC for diagnosis - Biopsy Management *Neo Adjuvant Chemotherapy (NACT) + Surgery is done